All are true about capacitation EXCEPT:
1. Changes that occur in sperm to penetrate ova
2. Occurs in female genital tract
3. Occurs in male genital tract
4. Sperm loses its cholesterol content in the process

Correct answer: 3. Occurs in male genital tract

Explanation: Ans. C Occurs in male genital tract* Capacitation is a process which makes spermatozoa to undergo the physical changes necessary to fertilize an egg in female genital tract.* Spermatozoa in male genital tract are exposed to floating vesicles from seminiferous tubules which contain large amount of cholesterol that cover up the sperm acrosome, which make the membrane tough.* After ejaculation, the sperm deposited in vagina swim away from cholesterol vesicle upward into the uterine cavity and hence lose excess cholesterol and membrane of the head of sperm becomes weaker; which makes the penetration in ova easy.